Lumbar puncture is done at which spinal level -
1. L1L2
2. 12L1
3. L3L4
4. L5S1

Correct answer: 3. L3L4

Explanation: Ans. is 'c' i.e., L3L4 o Lumbar puncture is performed most frequently at the L3 L4 interspace or the L4 L5 interspaceo This is done to ensure that the puncture will be below the bottom of spinal cord but above the bottom of subarachnoid space.